The deficiency of all the following factors increases the incidence of thrombus formation except
1. Lipoprotein A
2. Protein C
3. Anti-thrombin III
4. Protein-S

Correct answer: 1. Lipoprotein A

Explanation: . Because deficiencies of antithrombin III,protein C ,pritein S,factor V of Leiden,thrombophila etc are the causes of thrombus formation. Refer page no 223 of SRB's manual of surgery 5th edition.